As per enhanced recovery programme in colon surgeries, which of the following is true?
1. Bowel preperation a day prior to surgery
2. Nil per oral from the night before surgery
3. Avoidance of perioperative fluid load
4. Opiod analgesia preferred

Correct answer: 3. Avoidance of perioperative fluid load

Explanation: Enhanced recovery programmes have been shown to reduce the length of hospital stay from 10-14 days to as little as 2-3 days, by modulating the surgical stress response and reducing postoperative ileus.Key elements of an enhanced recovery programmePreadmission counsellingAvoidance of mechanical bowel preparationPreoperative carbohydrate loadingAvoidance of preoperative dehydrationNo nasogastric tubesShort, transverse incisions (or laparoscopic procedure)Short-acting anaesthetic drugsAvoidance of perioperative fluid/salt overloadThoracic epiduralsAvoidance of opiate analgesiaMaintenance of perioperative temperaturePrevention of postoperative nausea and vomitingEarly mobilisationEarly introduction of oral fluids/diets/supplementsEarly removal of urinary cathetersContinual audit of outcomesRef: Bailey and love, page: 1266